Most essential fatty acid is:
1. Linolenic acid
2. Linoleic acid
3. Arachidonic acid
4. Eicosapentanoic acid

Correct answer: 2. Linoleic acid

Explanation: Ans: b (Linoleic acid) Ref: Vasudevan, 4th ed, p. 156; 5th ed, p. 166Essential fatty acids are linoleic acid and linolenic acidArachidonic acid can be formed if dietary supply of linoleic acid is sufficient.Saponification number -It is the no: of milligrams of KOFI requied to saponily fatty acids in 1 mg of the given fat.Iodine number -Indicates degree of unsaturation.Acid number -Indicates degree of rancidity.Acetyl number -Measures number of OH group present.Used for detection of adulteration in fat.Omega- 3 fatty acids -Linolenic acidTimnodonic acidClupadonic acidCervonic acid